Assesment of progress of labor is best done by
1. Station of head
2. Rupture of membranes
3. Contraction of uterus
4. Partogram

Correct answer: 4. Partogram

Explanation: Partogram is the best method to assess progress of labor